Addison disease with hypoparathyroidism and mucocutaneous candida infection is seen with?
1. Isolated autoimmune adrenalitis
2. Triple A syndrome
3. Autoimmune polyglandular syndrome 2
4. Autoimmune polyglandular syndrome 1

Correct answer: 4. Autoimmune polyglandular syndrome 1

Explanation: Autoimmune polyglandular syndrome 1 Hypoparathyroidism with muco-cutaneous candidiasis Autoimmune polyglandular syndrome 2 Hypothyroidism, hyperthyroidism, vitiligo, Type 1 diabetes mellitus, pernicious anaemia and premature ovarian failure. Triple A syndrome Addison Alacrimia Achalasia Isolated autoimmune adrenalitis Associations with CTLA-4 gene